In RBC development, Haemoglobin first appears in
1. Basophilic erythroblast
2. Polychromatic erythroblast
3. Orthochromatic erythroblast
4. Reticulocyte

Correct answer: 2. Polychromatic erythroblast

Explanation: Polychromatic/ Intermediate erythroblast is the stage where haemoglobin first appears in RBC development.